Most common gastrointestinal malignancy of childhood is?
1. Adenocarcinoma
2. Lymphoma
3. Carcinoid
4. Sarcoma

Correct answer: 2. Lymphoma

Explanation: ANSWER: (B) LymphomaREF: Atlas of pediatric gastrointestinal disease: Part 1 - Page 87"Lymphoma is the most common malignant tumor of the gastrointestinal tract in children"